Plague epidemic in Surat in 1995 has occurred after a 'silence period' of
1. 18 years
2. 23 years
3. 28 years
4. 30 years

Correct answer: 3. 28 years

Explanation: The last case of plague in India was reported in 1966 and after that there was a 'silence period' of 28 years till the reappearance of the disease in September 1994, when there was an outbreak of bubonic plague in Beed district of Maharashtra and pneumonic plague in Surat (Gujarat).